Miotics are useful in which type of squint:-
1. Accommodative squint
2. Paralytic squint
3. Divergent squint
4. Congenital squint

Correct answer: 1. Accommodative squint

Explanation: Miotics may be useful in younger children not suitable for bifocals. Miotics facilitate accommodation and thus reduce the accommodative convergence.